Which of the following is commonly responsible for toxic shock syndrome in a female who is a tampon user?
1. Streptococcus-group B
2. Pseudomonas
3. H. influenzae
4. Staphylococcus aureus

Correct answer: 4. Staphylococcus aureus

Explanation: Toxic shock syndrome (TSS) is a entity caused by exotoxins produced by the ubiquitous aerobic gram-positive coccus, Staphylococcus aureus. TSS is associated with the use of highly absorbent tampons. The cause of toxic shock syndrome is preformed toxins produced by S aureus after colonization or infection by this microorganism. A pyrogenic toxin induces high fever and may enhance susceptibility to endotoxins that cause shock as well as liver, kidney, and myocardial damage. Ref: Mackay G. (2013). Chapter 43. Sexually Transmitted Diseases & Pelvic Infections. In A.H. DeCherney, L. Nathan, N. Laufer, A.S. Roman (Eds), CURRENT Diagnosis & Treatment: Obstetrics & Gynecology, 11e.